All of the following are derivatives of the septum transversum except :
1. Falciform ligament
2. Coronary ligament
3. Mesentery of the lesser sac
4. Ligamentum teres

Correct answer: 4. Ligamentum teres

Explanation: Ligamentum teres Ligamentum teres is the obliterated left umbilical vein.Septum transversum is a thick plate of mesodermal tissue that occupies the space between the thoracic cavity and yolk stalk.Ventral mesentery of stomach is derived from septum transversum.Ventral mesentery is divided into two pas by the growth of liver into it. The pa between stomach & liver becomes the lesser omentum while the pa b/w liver and the diaphragm (and the anterior abdominal wall) gives rise to the coronary & falciform, ligaments of the liverThe free margin of the falciform ligament contains the left umbilical vein which is obliterated after bih to form ligamentum teres or round ligament of the liver.Also knowCentral tendon of the diaphragm is also derived from septum transversum.Ligamentum teres is impoant in abdominal surgery as- It's division is the first step in the mobilization of liver.- It is a landmark and guide to the segment III hepatic duet used in hepaticojejunostomy formation.Ligament= venosum is obliterated venous connection that existed between the left poal vein and the left hepatic vein in fetal life